The percentage of atropine present in atropine drops as cycloplegic is:
1. 0.50%
2. 1%
3. 4%
4. 2%

Correct answer: 2. 1%

Explanation: 1%